HOSPICE is related to:
1. Contraception
2. Palliative care of terminallyill
3. Screening of tumours
4. Triage in disasters

Correct answer: 2. Palliative care of terminallyill

Explanation: Ans. B i.e. Palliative care of terminallyill Hospice care is a type and philosophy of care that focuses on the palliative care of a terminally ill or seriously ill patient's pain and symptoms, and attending to their emotional and spiritual needs.